Secondary tumour may spread to the orbit by all the following except
1. Direct spread from lids
2. Blood
3. Lymphatic channels
4. Direct spread from cranial cavity

Correct answer: 3. Lymphatic channels

Explanation: No spread to the orbit by lymphatic channels.